Antiepileptic of choice in post diabetic peripheral neuropathy?
1. Pregabalin
2. Amitryptyline
3. Carbamazepine
4. Duloxetine

Correct answer: 1. Pregabalin

Explanation: Ans. (a) PregabalinRef: Harrison's Internal Medicine 18/e, chapter 344, p 2984